Which of the following is NOT a feature of HIV infection in childhood –
1. Failure to thrive
2. Hepatomegaly
3. Lymphoid interstitial pneumonitis
4. Kaposi sarcoma

Correct answer: 4. Kaposi sarcoma

Explanation: "Kaposi sarcoma, commonly seen in men with advanced HIV disease, has been reported only rarely in children".
Clinical manifestations of HIV infection in children 

Failure to thrive is universal                                                                   
P. carinii pneumonia → M.C. AIDS-defining illness in children      
Recurrent and chronic bacterial infections (first sign).                        
Otitis, Sinusitis, Pneumonia                                                                  
Hepatosplenomegaly                                                                               
Anemia / Thrombocytopenia / Neutropenia    
Lymphadenopathy        
Dermatological complications   
Candidiasis    
Hepatitis
Lymphoid interstitial pneumonia   
Cardiomyopathy